The cystic form of all are seen in man except ?
1. E.histolytica
2. Giardia
3. Trichomonas
4. Toxoplasma

Correct answer: 3. Trichomonas

Explanation: Ans. is 'c' i.e., Trichomonas Protozoal parasites have two phases. Cystic phase Trophozoite Cystic phase is not seen in : Trichomonas Entamoeba gingivalis Dientamoeba fragilis